The facial aspect of an intraoral film is determined by the
1. Anatomic landmarks
2. Concavity of the embossed dot
3. Convexity of the embossed dot
4. Curvature of the arch

Correct answer: 3. Convexity of the embossed dot